Primary idiopathic polymyositis does not involve:
1. Pelvic girdle muscles
2. Neck muscles
3. Ocular muscles
4. Pharyngeal muscle

Correct answer: 3. Ocular muscles

Explanation: Ans. is 'c' Ocular muscles Muscular involved in polymyositis areIt chiefly involves proximal muscles of the limb girdles.Pharyngeal and respiratory muscles are involved in severe cases.Presence of any of the following factors rule out the diagnosis.Polymyositis:Involvement of extraocular & facial muscles*Rash*Family history of neuromuscular are diseaseHistory of exposure of myotoxic drugs or toxinsEndocrinopathyMuscular dystrophy